All of the following drugs are bacteriostatic except:
1. Vancomycin
2. Clindamycin
3. Tetracycline
4. Tigecycline

Correct answer: 1. Vancomycin

Explanation: All protein synthesis inhibitors are bacteriostatic except Aminoglycosides and streptogrammins and all cell wall inhibitors like vancomycin (glycopeptide) are bacterioacidal